Delusion is a disorder of:
1. Thinking
2. Memory
3. Perception
4. Intellect

Correct answer: 1. Thinking

Explanation: Ans. is 'a' Thinking Cognition (Thought) Disorders are -Schizophrenia*Obsessive compulsive neurosis*Delusions* & phobias*Also rememberHallucinations are disorder of - perception*